Which joint is commonly involved in osteochondritis dissecans?
1. Ankle joint
2. Knee joint
3. Wrist joint
4. Elbow joint

Correct answer: 2. Knee joint

Explanation: Kness is the most commonly affected joint. Other joints such as hip, ankle , elbow and shoulder can also be involved. Definition : * Localized condition affecting the articular surface of a joint with separation of a segment of cartilage and subchondral bone * Knee by far the most common joint involved (75% of all OCD lesions) with the ankle, elbow, wrist and other joints accounting for the remaining 25% * Most common: Lateral aspect of medial femoral condyle * Weightbearing surfaces of medial and lateral femoral condyles also affected . ref : maheswari 9th ed